In dacrocystorhinostomy (DCR) lacrimal sacs are directly opened into:
1. Superior nasal meatus
2. Middle nasal meatus
3. Inferior nasal meatus
4. Nasolacrimal duct

Correct answer: 2. Middle nasal meatus

Explanation: Ans. b (Middle nasal meatus). (Ref. Basak's, Opthalmology, 2nd ed., pg, 282, 336)DACROCYSTORHINOSTOMY (DCR)# It is surgical procedure of choice in chronic dacrocystitis, in which a communication is made between lacrimal sac and middle meatus of nose.# Contraindications: (MH'2000)- DNS- Atrophic rhinitis- Carcinoma of lacrimal gland